Absolute contraindication of hormone replacement therapy is:
1. Thrombosis
2. Fibrocystic disease
3. Fibroadenoma
4. Hemorrhage

Correct answer: 1. Thrombosis

Explanation: Ans. is a, i.e. ThrombosisRef: Novak 15th/ed, p1245; John Hopkins Manual of Obs and Gynae 4th/ed, p510MnemonicA = Active liver disease/or Gallbladder diseaseB = Undiagnosed vaginal bleedingC = Cancers of endometrium and breastD = Deep vein thrombosis